Tentative cut is a feature of
1. Fall from height
2. Homicidal assault
3. Accidental injury
4. Suicidal attempt

Correct answer: 4. Suicidal attempt

Explanation: Suiccidal cut throat wounds it is characterised by parallel and superficial cuts on either side of the main wound.These are called the hesitation cuts or (tentative cuts or trial wounds or feeler stroke or exploratory cuts) Thesr are usually skin deep. This may occur due to hesitation and withdrawal of weapon because of pain, till he gets the courage for a final fatal cut. Ref: FORENSIC MEDICINE AND TOXICOLOGY DR PC IGNATIUS THIRD EDITION PAGE 122